Receptor-mediated endocytosis is by
1. Clathrin
2. Porine
3. Cytocin
4. Vimentin

Correct answer: 1. Clathrin

Explanation: Very large particles enter the cell by a specialized function of the cell membrane called endocytosis. The principal forms of endocytosis are pinocytosis and phagocytosis.Pinocytosis means ingestion of minute particles that form vesicles of extracellular fluid and particulate constituents inside the cell cytoplasm. Phagocytosis means ingestion of large particles, such as bacteria, whole cells, or portions of degenerating tissue.Ref: Guyton; 13th edition; Chapter 2 The Cell and Its Functions